Desensitization is a type of -
1. Psychotherapy
2. Psychoanalysis
3. Behavioral therapy
4. None

Correct answer: 3. Behavioral therapy

Explanation: Ans. is 'c' i.e., Behavioral therapy o Types of behavioral therapy are : - Systemic desensitization, therapeutic graded exposure, exposure & response prevention, flooding, aversion therapy, and operant conditioning.